The use of the rubber dam is best indicated for
1. Adhesive procedures
2. Quadrant dentistry
3. Teeth with challenging preparations
4. All of the above

Correct answer: 4. All of the above

Explanation: The advantages and benefits of rubber dam usage are reflected in all of the items stated. The rubber dam isolation increases access and visibility.